The small ridges, perikymata, seen on facial surfaces of canines are the result of
1. Hyperplasia
2. Hypocalcification
3. Normal development
4. Interstitial development

Correct answer: 3. Normal development